If a lady dies of unnatural death within 7years after marriage, the inquest will be done by
1. Deputy superintendent of police
2. Forensic medical expert
3. Coroner
4. Sub divisional magistrate

Correct answer: 4. Sub divisional magistrate

Explanation: Magistrate's Inquest (Section 176 CrPC): To be conducted by District Magistrate/Sub-divisional magistrate/Executive Magistrate/Judicial Magistrate Suicide by a woman within 7 years of her marriage and Death of a woman within 7 years of her Marriage in the circumstances raising a reasonable suspicion. Custodial death/rape Exhumation Ref - Krishan Vij textbook of forensic medicine 5e pg : 6